Prevention of emergence of risk factors in a community is called:
1. Primordial prevention
2. Secondary prevention
3. Tertiary prevention
4. None

Correct answer: 1. Primordial prevention

Explanation: Ans: a (Primordial prevention) Ref: Park, 19th ed, p.37Levels of prevention:Primordial prevention- Prevention of emergence or development of risk factors in countries or population groups in which they have not yet appeared. In primordial prevention efforts are taken to discourage children from adopting harmful life style. The main intervention is through mass and individual education.Primary prevention- Defined as the action taken prior to the onset disease, which removes the possibility that a disease will ever occur i.e., intervention in pre pathogenesis period. Modes of intervention is health promotion and specific protection (immunization, chemoprophylaxis)Secondary prevention- Defined as the actions which halt the progress of a disease at its incipient stage and prevent complications. The specific interventions are early diagnosis (screening and adequate treatment.Tertiary prevention- Defined as all measures available to reduce or limit impairment and disabilities. It signifies intervention in late pathogenesis phase, include disability limitation and rehabilitation.